Which of the following ultrasound finding has the highest association with aneuploidy?
1. Choroid plexus cyst
2. Nuchal translucency
3. Cystic hygroma
4. Single umbilical aery

Correct answer: 3. Cystic hygroma

Explanation: All the above mentioned are ultrasound findings associated with increased risk of aneuploidy although the highest association is seen with cystic hygroma Nuchal translucency and cystic hygroma are both measured in the first trimesterTrisomy 21 is the most common aneuploidy associated with increased NT and cystic hygroma While monosomy X presents as second-trimester hygroma.